Which one of the following amino acids is purely ketogenic?
1. Proline
2. Phenylalanine
3. Isoleucine
4. Leucine

Correct answer: 4. Leucine